Chlamydia can cause infertilty due to?
1. Slaphingitis
2. Endometritis
3. Oophritis
4. Cervicitis

Correct answer: 1. Slaphingitis

Explanation: Slaphingitis REF: Shaw 13th ed p. 209 Salphingitis due to chlamydia and gonnorrea are common causes of tubal block resulting in infertility